Not a Boundary of Jackson's Triangle used in Tracheotomy
1. Suprasternal notch
2. Lower edge thyroid cartilage
3. Outer border of Sterno cleitomastoid
4. Inner border of  Sterno cleitomastoid

Correct answer: 3. Outer border of Sterno cleitomastoid